Which amino acid is purely Ketogenic
1. Tyrosine
2. Leucine
3. Tryptophan
4. Isoleucine

Correct answer: 2. Leucine

Explanation: Leucine and lysine are purely ketogenic, other amino acids given are both glucogenic and ketogenic.